Posada's fracture is ?
1. Trascondylar fracture of humerus
2. Fracture lateral condyle of humerus
3. Fracture medial condyle of humerus
4. Fracture anatomical neck of humerus

Correct answer: 1. Trascondylar fracture of humerus

Explanation: Ans. is 'a' i.e., Transcondylar fracture of humerus Posada's fracture Transcondylar humeral fracture with displacement of the distal fragment anteriorly and dislocation of the radius and ulna from the bicondylar fragment.